All of these are fibrous joints except
1. TMJ
2. Suture
3. Gomphosis
4. Syndesmosis

Correct answer: 1. TMJ